Which of the following is not a fungal infection:
1. Blastomycosis
2. Cryptococcus
3. Actinomycosis
4. Histoplasmosis

Correct answer: 3. Actinomycosis

Explanation: Ans. C: Actinomycosis Actinomycosis is an infectious bacterial disease caused by Actinomyces species such as Actinomyces israelii or A. gerencseriae. It can also be caused by Propionibacterium propionicus, and the condition is likely to be polymicrobial.